The termination of Descemet's membrane is
1. Schwalbe's line
2. Sclera's spur
3. Schlemm's canal
4. Tubercular meshwork

Correct answer: 1. Schwalbe's line

Explanation: Descement's membrane The Descement's membrane is a strong homogeneous basement membrane of the corneal endothelium It consists of collagen and glycoproteins. Unlike Bowman's membrane it can regenerate. In the periphery it appears to end at the anterior limit of trabecular meshwork as Schwalbe's line (ring) Reference: A.K.Khurana; 6th edition; Page no:96